Plastic covers of syringes are disposed in:
1. Red bag
2. Yellow bag
3. Black bag
4. Blue bag

Correct answer: 3. Black bag